Optical coherence tomography is akin to in vivo:
1. Histopathology
2. Ultrasonic biomicroscopy
3. Confocal microscopy
4. Roentgen examination

Correct answer: 1. Histopathology

Explanation: Ans. Histopathology